Biochemical etiology of Alzheimer's disease relates to
1. Serotonin
2. Dopamine
3. Acetylcholine
4. GABA

Correct answer: 3. Acetylcholine

Explanation: Neurotransmitters, which are decreased in Alzheimer's disease:- Acetylcholine (most important), norepinephrine, somatostatin, corticotropin.